Somatic efferent does not include
1. Facial nerve
2. Oculomotor nerve
3. Abducent nerve
4. Trochlear nerve

Correct answer: 1. Facial nerve

Explanation: Somatic efferent nerves, also called as general somatic efferent (GSE) nerves, supply skeletal muscle of somatic origin ( muscles of eye and tongue).
Somatic efferent nerves include,

Oculomotor nerve - 3rd nerve
Trochlear nerve - 4th nerve
Abducent nerve - 6th nerve
Hypoglossal nerve - 12th nerve